A young patient develops high grade fever with chills and rigors, mild jaundice and acute pain in the upper abdomen following cholecystectomy. On examination, she was jaundiced, toxic, haemodynamically stable and having vague fullness upper abdomen. What is the most probable diagnosis -
1. Localised collection of bile in peritoneal cavity
2. Iatrogenic ligation of common bile duct
3. Duodenal injury
4. Acute pancreatitis

Correct answer: 1. Localised collection of bile in peritoneal cavity